Left kidney is preferred for transplantation because:
1. Longer renal vein
2. Higher location
3. Ease of surgery due to anatomical relations
4. To prevent damage to liver

Correct answer: 1. Longer renal vein

Explanation: Ans. (a) Longer renal veinRef: Internet SourceThe left kidney is preferred for transplantation because the left renal vein is longer and easy to anastomose.Other advantages mentioned are:* Anatomically easy to remove because liver is on right* Anomalies of vessels are less common on left side.